Patau syndrome due to
1. Trisomy 21
2. Trisomy 18
3. 18 P
4. Trisomy l3

Correct answer: 4. Trisomy l3

Explanation: PATAU SYNDROME:- Trisomy 13 47 XX Characteristic features:- 1. Microcephaly and intellectual disability. 2. Microphthalmia 3. Cleft lip and palate. 4. Cardiac and renal defects 5. Umbilical hernia 6. Rocker bottom feet {Reference:Robbins basic pathology 9E pg no.248}